Anti tubercular drug contraindicated in pregnancy is -
1. Streptomycin
2. Isoniazid
3. Rifampicin
4. Pyrazinamide

Correct answer: 1. Streptomycin

Explanation: Ans. is 'A' i.e., Streptomycin Antitubercular druss contraindicated in preenancv are: oFluoroquinolones o Capreomycin o Amikacin o Kanamvcin o Streptomycin